MRI is contraindicated in patients with:
1. Metallic foreign body in eye
2. Sensitivity to dye
3. Intracranial hemorrhage
4. Agaro phobia

Correct answer: 1. Metallic foreign body in eye

Explanation: Ans. A. Metallic foreign body in eyeApplications of MRI are many, but amongst the commonly imaged parts are brain, spine and musculoskeletal tissues.Contraindications to MRI:a. Cardiac pacemakersb. Intraocular metallic foreign bodyc. Cochlear implantsd. Prosthetic heart valvese. Aneurysmal clipsf. Claustrophobia